Pterygium all are true except
1. Arise from any part of conjunctiva
2. Can cause astigmatism
3. Surgery is treatment of choice
4. UV exposure is risk factor

Correct answer: 1. Arise from any part of conjunctiva

Explanation: . Arise from any part of conjunctiva Ref: AK khurana 7th ed.